Reward centre is
1. Insula
2. Putamen
3. Medial forebrain bundle
4. Aqueduct sylvius

Correct answer: 3. Medial forebrain bundle

Explanation: Punishment centre in brain is posterior hypothalamus and dorsal mid brain.
Rewards centre is ventromedial nuclei of hypothalamus or medial forebrain bundle.